Carbon steel instruments and BURS are best sterilized by:
1. Autoclave
2. Dry heat and chemiclave
3. Boiling water
4. 2% glutaraldehyde solution

Correct answer: 2. Dry heat and chemiclave

Explanation: Carbon steel instruments and burs do not rust, corrode, or lose their temper or cutting edges if they are well-sterilized by dry heat and chemiclave.